Which one of the following is not a feature of Klinefelter's syndrome
1. Gynecomastia
2. Eunuchoid
3. Short 4th metacarpal
4. Hypogonadism

Correct answer: 3. Short 4th metacarpal

Explanation: Short 4th metacarpal is a feature of Turner syndrome.